Acute myocardial infarct scintigraphy is done with –
1. Thallium
2. Gallium
3. Neodynium
4. Tc stannous pyrophosphate

Correct answer: 4. Tc stannous pyrophosphate

Explanation: Perfusion Scan   → Thallium (mc), technetium, MIBI.
Infarct Scan       →  Technetium pyrophosphate.